Which β1 selective blocker is used in glaucoma:
1. Levobunolol
2. Timolol
3. Betaxolol
4. Carteolol

Correct answer: 3. Betaxolol